Contents of spermatic cord are all EXCEPT:
1. Genital branch of genitofemoral nerve
2. Inferior epigastric artery
3. Testicular artery
4. Lymphatics

Correct answer: 2. Inferior epigastric artery

Explanation: Ans. b (Inferior epigastric artery). (Ref. BD Chaurasia, Human Anatomy Vol. II, 3rd ed., 61, 179)CONTENTS OF SPERMATIC CORD# Ductus deferens (Vas deferens)# Testicular & cremasteric arteries & artery of ductus deferens# Pampiniform plexus of veins# Genital branch of genitofemoral nerve & plexus of sympathetic nerves# Lymphatic vessels from testes# Remnants of processus vaginalis.Ductus Deferens (Vas Deferens)# Ductus deferens (vas deferens)-contains a thick muscular coat, which dilates distally into an ampulla.# Ampulla narrows to form ejaculatory duct, which penetrates the prostate gland and empties into the urethra.# These receive the arterial supply from superior vesical artery.# The artery to the ductus deferens usually arises from one of the terminal branches of the superior vesical.# But occasionally it arises from the inferior vesical artery.Educational points:# Ilioinguinal nerve enters inguinal canal through interval between external & internal oblique muscle & pass out through superficial inguinal ring.# Inferior epigastric artery is not content of spermatic cord, it forms lateral boundary of Hasselbac triangle.